Best gas used for creating pneumoperitonium at laparoscopy is:
1. N2
2. O2
3. CO2
4. N20

Correct answer: 3. CO2